Anencephaly can be diagnosed by USG at
1. 10-12 weeks of gestation
2. 14-18 weeks of gestation
3. 20-24 weeks of gestation
4. 24-28 weeks of gestation

Correct answer: 1. 10-12 weeks of gestation

Explanation: A i.e. 10-12 weeks of gestation Earliest detectable congenital anomaly on USG is Anencephaly.Q Anencephaly can be diagnosed - Earliest at 10 weeksQ Best at 12 weeksQ (100% accuracy)